Which of the following is/are radiological features of fluorosis?
1. Osteosclerosis
2. Cortical thickening
3. Enthesopathy
4. All the above

Correct answer: 4. All the above

Explanation: Radiological features of fluorosis Diffuse Osteosclerosis Cortical thickening Enthesopathy Interosseous membrane calcification Sacro tuberous ligament calcification